Onion skin thickening of arteriolar wall is seen
1. Atherosclerosis
2. Median calcific sclerosis
3. Hyaline arteriosclerosis
4. Hyperplastic arteriosclerosis

Correct answer: 4. Hyperplastic arteriosclerosis

Explanation: Hyperplastic arteriosclerosis is associated with malignant hypertension in which concentric thickening of the walls and luminal narrowing leads to “onion skin like lesions”.